Not true about mucinous cystadenoma pancreas-
1. Microcystic adenoma
2. Lined by columnar epithelium
3. Pre malignant
4. Focus of ovarian stroma in it

Correct answer: 1. Microcystic adenoma

Explanation: Mucinous cystadenoma is macrocystic, not the microcystic adenoma.
MCN: MC cystic neoplasm of the pancreas.
Frequently seen in young women, mean age 5th decade.
More common in the body and tail of the pancreas.

Pathology

MCNs contain mucin-producing epithelium, macrocystic.
Histology: Presence of mucin-rich cells and ovarian-like stroma.
Estrogen and progesterone staining are positive in most cases.

Clinical Features

Incidental MCN is becoming increasingly common.
Up to 50% of patients present with vague abdominal pain.
A history of pancreatitis may be found in up to 20% of patients, which explains the common misdiagnosis of pseudocyst.

Diagnosis

CT scan: Presence of a solitary cyst with fine septations and rim of calcification.
Cross-sectional imaging may not be able to distinguish between benign and malignant MCNs.
Presence of eggshell calcification, larger tumor size, or a mural nodule on cross-sectional imaging is suggestive of malignancy.
Cyst fluid analyses: Mucin-rich aspirate, high CEA and low amylase levels.
These fluid analyses provide accurate diagnosis in up to 80% of cases.

Treatment

Exclusion of malignancy can’t be obtained by biopsy alone, so surgical excision is indicated for all mucinous cystic neoplams, because extensive histological sampling is required for confirmation.
Pancreatic resection is the standard treatment for MCNs.
In the absence of invasive malignancy, resection is curative and no further surveillance is required.